Cyclodevelopmental life cycle is seen in
1. Malaria
2. Plague
3. Yellow Fever
4. Filaria

Correct answer: 4. Filaria

Explanation: .cyclodevelopmental form of life cycle is the one in which the disease agent undergoes only development but no multiplication.examples include mainly the life of microfilaria in mosquito. ref:park's textbook of preventive and social medicine,edition 22,pg no 94